Bulls eye type of appearance in I.0.P.A is seen in
1. Lingually placed mandibular III molar
2. Buccally placed mandibular III molar
3. Inverted mandibular III molar
4. Disto angular impaction

Correct answer: 1. Lingually placed mandibular III molar